Most common cause of small intestinal obstruction in adults is
1. Malignancy
2. Crohn's disease
3. Hernia
4. Adhesions

Correct answer: 4. Adhesions

Explanation: Adhesions account for more than 50% of small intestine obstruction. They follow appendicitis or other pelvic operations.